Anterior 1/3rd of the tongue develops from which arch
1. 1st
2. 2nd
3. 3rd
4. 4th

Correct answer: 1. 1st

Explanation: Anterior two third is developed from: Fusion of a pair of lingual swellings arising from pouch of the first branchial arch Tuberculum imphar,a midline swelling arises from first pouch and gives a very little contribution Notes:Anterior two third is supplied by lingual nerve of first arch and chorda tympani of second arch